Myeloid sarcoma, which is tumor mass consisting of myeloid blasts occurring at anatomic sites other than bone marrow, are often characterized by chromosome aberrations all, EXCEPT:
1. Monosomy 7
2. Trisomy 8
3. inv (16)
4. t (15;17)

Correct answer: 4. t (15;17)

Explanation: In AML Patients may present with symptoms from a myeloid sarcoma that is a tumor mass consisting of myeloid blasts occurring at anatomic sites other than bone marrow. This rare presentation, often characterized by chromosome aberrations may precede or coincide with AML. Ref: Harrisons Principles of Internal Medicine, 18th Edition, Page 908